Most characteristic finding in diabetic nephropathy is
1. Diffuse glomerusclerosis
2. Nodular glomerulosclerosis
3. Diffuse cortical sclerosis
4. Renal atherosclerosis

Correct answer: 2. Nodular glomerulosclerosis

Explanation: Refer Robbins page no 1118 Almost all patients with Type I diabetes develop some evidence of functional change in the kidneys within two to five years of the diagnosis. About 30 to 40 percent progress to more serious kidneydisease, usually within about 10 to 30 years. Diabetic nephropathy (diabetic kidney disease) is kidney damage that results from having diabetes. Having high blood glucose levels due to diabetes can damage the part of the kidneys that filters your blood. The damaged filter becomes 'leaky' and lets protein into your urine.